Which of the following is not seen in Vitamin D deficiency:
1. Increased alkaline phosphate
2. Decreased phosphate in urine
3. Hypophosphatemia
4. Decreased serum calcium

Correct answer: 2. Decreased phosphate in urine

Explanation: Answer is B (Decreased phosphate in urine): Vitamin D deficiency is associated with PTH induced phosphaturia or increased phosphate in urine.